Which of the following is/are the ventral posterior neucleus of thalamus -a) Medial lemniscusb) Lateral lemniscusc) Corticospinald)  Spinothalamice) Trigeminal lemniscus
1. acd
2. ade
3. abd
4. ad

Correct answer: 2. ade

Explanation: Ventral posterolateral :- Spinal lemniscus (rostral continuation of spinothalamic tract) and medial lemniscus. 
Ventral posteromedial :- Trigeminal lemniscus, and solitariothalamic tract.